Fowler's method is employed for the measurement of:-
1. Residual volume
2. Alveolar PO2
3. Anatomic dead space
4. Physiologic dead space

Correct answer: 3. Anatomic dead space

Explanation: Methods used for various studies: - 1. Bohr's method: - Physiological dead space 2. Fowler's method: - Anatomic dead space. Based on single breath nitrogen analysis technique. A person is given 100% oxygen in single breaths, that breath enters alveoli Now the person starts exhaling out, the first air that comes out, it had never reached the alveoli, it is coming out of dead space only from the anatomic dead space. The first part of exhaled air is last part of inhaled air. So, when the person start exhaling, he exhales the last part of inhaled air first, which is air in anatomic dead space. This first exhaled air is analyzed, & this air will contain only O2. This is fowler's method. Used to measure functional residual capacity 3. Residual volume: Helium dilution method Nitrogen washout method.